Which of the following is the optimal position for inserting an IOL during a cataract surgery?
1. Anterior chamber
2. Posterior chamber
3. Iris clip
4. Any of the above

Correct answer: 2. Posterior chamber

Explanation: The lens should be placed in the capsular bag of the posterior chamber. Intraocular lens implants can easily be inserted behind the iris and in front of the posterior lens capsule. This is safest and most secure place for intraocular lens implants to rest within the eye.